Which of the following is the engaging diameter in the fetus in left occiput anterior (LOA) position:
1. Suboccipito - bregmatic
2. Mento-vertical
3. Sub-Mento bregmatic
4. Sterno-Bregmatic

Correct answer: 1. Suboccipito - bregmatic

Explanation: Position of Head Presentation Engaging diameter Well flexed head Vertex presentation Sub-Occipito bregmatic, 9.5 cms Deflexed head Sinciput presentation Occipito-frontal , 11.5cms Partial extended Brow presentation Mento vertex, 14 cms Fully extended head Face presentation Submentobregmatic ,9.5cms or submentovertical 10 cms